Collecting duct has which cells ?
1. Principle and intercalated
2. Parietal and oxyntic
3. Lacis cells
4. Podocytes

Correct answer: 1. Principle and intercalated

Explanation: Ans. is 'a' i.e., Principle and intercalated Collecting duct is 20 mm long and pass through the renal cortex and medulla to empty into the pelvis of the kidney at the apex of the medullary pyramids. The epithelium of the collecting ducts is made up of two types of cell i) Principal cells (P cells), which are involved in Na+ reabsorption and ADH stimulated water reabsorption. ii) Intercalated cells (I cells) which are concerned with acid (H+) secretion and HCO3- transport.